Winging of scapula is seen after mastectomy due to injury:
1. Musculocutaneous nerve
2. Long thoracic nerve of Bell
3. Intercostobrachial nerve
4. Thoracodorsal nerve

Correct answer: 2. Long thoracic nerve of Bell

Explanation: Winging of scapula is seen after mastectomy due to injury of long thoracic nerve .